A girl was killed and her body was taken for embalming. Constituents of a typical embalming solution are all, EXCEPT:
1. Wintergreen
2. Glycerine
3. Formalin
4. HCl

Correct answer: 4. HCl

Explanation: Embalming is the treatment of the dead body with antiseptics and preservatives to prevent putrefaction. This process coagulates the proteins, fixes the tissues, bleaches and hardened the organs and the blood is converted into a brownish mass. Constituents of a typical embalming solution: Formalin Sodium borate Sodium citrate Glycerine Sodium chloride 1% Eosin Soluble wintergreen Water Ref: Textbook of Forensic Medicine & Toxicology: Principles & Practice, 4/e By Vij, 4th edition, Page 36.